Adenoidectomy is contraindicated in which of the following?
1. Bleeding disorder
2. Infection
3. Submucous palate
4. All of the above

Correct answer: 4. All of the above

Explanation: Ans. is 'd' All of the above Contraindications for adenoidectomy* Cleft palate or submucous palate* Hemorrhagic diathesis* Acute infection of upper respiratory tract